Aminophylline inhibits which enzyme ?
1. MAO
2. Alcohol dehydrogenase
3. Phosphodieseterase
4. Cytochrome P450

Correct answer: 3. Phosphodieseterase

Explanation: Ans. is 'c' i.e., Phosphodiesterase